Durck granuloma is seen in
1. Congenital syphilis
2. Cat scratch disease
3. Histoplasmosis
4. Cerebral malaria

Correct answer: 4. Cerebral malaria

Explanation: Ans. (d) Cerebral malaria(Ref: Malaria - Page 76)In malignant cerebral malaria caused by Plasmodium falciparum, brain vessels are plugged with parasitized red cells, causing ring hemorrhage which is accompanied by necrosis of surrounding parenchyma.The damage leads to formation of Durck's granuloma - collection of microglial cells surrounding area of demylienation